Nucleus ambiguous includes all, except
1. IX
2. X
3. XI
4. XII

Correct answer: 4. XII

Explanation: Nucleus ambiguous is located posterolateral to medulla at the level of olives.It gives origin to the motor fibres of 9,10,11 cranial nerves(Ref: Vishram Singh textbook of clinical neuroanatomy second edition pg-77)